45-year-old policeman comes from duty with complain of pain in right leg. On examination, pulse in right popliteal fossa was absent and pain in right buttock, where as in left side it was normal. The block is at which level?
1. Femoral
2. Iliac
3. Aortoiliac
4. Popliteal

Correct answer: 2. Iliac

Explanation: As the pulse is absent in right popliteal fossa and also there is impaired blood supply in right buttock and left side is normal, the block lies in the right sided iliac vessel. Image showing blood supply of pelvis and lower limb. If block is in femoral or popliteal vessels, there will be no pain in buttocks. If aortoiliac vessels are blocked, both limbs will be affected